The vasodilatation produced by carbon dioxide is maximum in one of the following:
1. Kidney
2. Brain.
3. Liver.
4. Heart.

Correct answer: 2. Brain.

Explanation: B i.e. BrainThe metabolic changes that produce vasodilatation, in most tissue, is decrease in O2 & pHT CO2 is associated with cutaneous & cerebral vosodilatationQ, but vasoconstriction elsewhere & usually a slow rise in BP.